The person, animal, object or substance from which an infectious substance passes or is disseminated by host is called -
1. Reservoir
2. Source
3. Carrier
4. Homologous reservoir

Correct answer: 2. Source